Among the pulses, the highest quantity of protein is present in –
1. Green gram
2. Red gram
3. Soyabean
4. Black gram

Correct answer: 3. Soyabean